Involvement of sweat glands and hair follicles is typically seen in which TUBERCULID?
1. Lichen Scrofulosorum
2. Military TB
3. Papulonecrotic type
4. Lupus vulgaris

Correct answer: 1. Lichen Scrofulosorum

Explanation: Lichen Scrofulosorum Lichenoid eruption of minute papules occurring in children and adolescents with TB Skin colored, closely grouped lichenoid papules occur in perifollicular distribution, mainly found on abdomen,chest, back and proximal limbs. Pathological examination: superficial dermal granulomas surrounding hair follicles and sweat ducts and occupy several dermal papillae, foreign body granuloma without caseation. Mycobacterium is not seen and cannot be cultured from biopsy material. Treatment Anti-Tuberculosis Therapy Lesions clear in 4-8 wks without scaring